Spleniculi means
1. Splenic calculi
2. Splenic atrophy
3. Splenic malignancy
4. Accessory spleen

Correct answer: 4. Accessory spleen

Explanation: Ans. (d) Accessory spleen(Ref: Robbins 9th/pg)Accessory spleens or spleniculi are seen inGastrosplenic LigamentLienorenal ligamentGastrophrenic ligamentGreater omentumBroad ligament of uterusSpermatic cord.